Site of 25-hydroxylation of cholecalciferol
1. Kidney
2. Skin
3. Liver
4. Lung

Correct answer: 3. Liver

Explanation: 7-Dehydrocholesterol is the precursor of vitamin D3. Within the epidermal layer of skin, 7-Dehydrocholesterol undergoes an electrocyclic reaction as a result of UVB radiation, resulting in the opening of the vitamin precursor B-ring through a conrotatory pathway. Following this, the previtamin D3 undergoes a antarafacial sigmatropic rearrangement and therein finally isomerizes to form vitamin D3. Cholecalciferol is then hydroxylated in the liver to become calcifediol (25-hydroxyvitamin D3).Ref: Ganong's review of medical physiology; 24th edition; page no:-379